Tarso-metatarsal amputation is k/a?
1. Chopart's amputation
2. Lisfranc amputation
3. Pirogrof amputation
4. Syme's amputation

Correct answer: 2. Lisfranc amputation

Explanation: Mid-foot Amputation Type Level of Amputation Lisfranc Tarsometatarsal joint Chopart Intertarsal joint (Chopart's - Intertarsal = CIT) Pirogoff Calcaneus is rotated forward to be fused to tibia after vertical section through its middle. Syme's 0.6cm above talar dome